Which of the following does not result in the release of nitric oxide
1. Fenoldopam
2. Hydralizine
3. Nitroprusside
4. Nitroglycerin

Correct answer: 1. Fenoldopam

Explanation: Refer katzung 11e 180-181 nitric oxide donors include Sodium nitroprusside organic nitrates nitrates Hydralazine Propofol Nebivolol